The type of Diphtheria with highest mortality is-
1. Pharyngeal
2. Nasal
3. Laryngeal
4. Conjuntival

Correct answer: 3. Laryngeal

Explanation: In laryngotracheal diphtheria if infection extends in to bronchial tree , it is the most severe form of disease. Prostration and dyspnoea occurs as a result of obstruction caused by membrane. This may cause suffocation if not treat properly with intubation or tracheostomy Reference : Park's Textbook of preventive and social medicine, 24th edition.Pg no171